Scabies, an infection of the skin caused by Sarcoptes scabie, is an example of:
1. Water borne disease
2. Water washed disease
3. Water based disease
4. Water related disease

Correct answer: 2. Water washed disease

Explanation: Ans. is 'b' ie. Water washed diseaseWater washed disease is due to inadequate water availability leading to poor personal hygiene.By the way, a slight reference to scabies is done by Park (17/e, p 494; 16/e, p 487) along with Water-Related diseases. We don't think it to be satisfactory enough, to classify scabies as a Water-related disease.